Abandoning a child will be punished for
1. 2 years
2. 4 years
3. 5 years
4. 7 years

Correct answer: 4. 7 years

Explanation: Abandoning of a child Father or mother of a child who is under 12 years or anyone who is having care of such child, leaves such a child in any place with the intention of abandoning the child shall be punished with imprisonment upto 7 years. Ref: FORENSIC MEDICINE AND TOXICOLOGY Dr PC IGNATIUS THIRD EDITION PAGE 354